A pregnant woman presents with red degeneration of fibroid; Management is:
1. Myomectomy
2. Conservative
3. Hysterectomy
4. Termination of pregnancy

Correct answer: 2. Conservative